Which of the following is the MOST useful index for the measure of the burden of disease in a defined population?
1. Park's index
2. Disability adjusted life years
3. Morbidity proportion
4. Case fatality rate

Correct answer: 2. Disability adjusted life years

Explanation: Disability adjusted life years (DALY) is a measure of the burden of disease in a defined population and the effectiveness of the intervention. Case fatality rate indicates killing power of a disease. REMEMBER: Sullivan's index is the most advanced indicator available for disability Ref: Park's textbook of Preventive and Social Medicine, 21st edition, page-26